A 4 month old boy with fever and cough for 3 days. The child O/E has rhonchi; RR 48/min. no chest indrawing. Which of the following is false?
1. Treatment for wheeze
2. Antibiotics should not be given
3. Child has pneumonia
4. Fever should be treated

Correct answer: 3. Child has pneumonia

Explanation: Ans. C. Child has pneumoniaBreathing difficulty can be a prominent sign of pneumonia. Up to 2 months, RR >60/min is considered as breathing difficulty. In age group 2-12 months, RR >50 is considered as breathing difficulty. So in 4 month old child, RR-48/min is not breathing difficulty or pneumonia